Open reduction in children is required for
1. Fracture both bones of forearm
2. Femoral condyles
3. Lateral humeral condyle
4. Distal tibial epiphysis

Correct answer: 3. Lateral humeral condyle

Explanation: C i.e. Lateral Condyle fr